The internal pudendal artery arises from which of the following arteries?
1. External iliac artery
2. Inferior vesical artery
3. Internal iliac artery
4. Inferior epigastric artery

Correct answer: 3. Internal iliac artery

Explanation: The internal iliac artery divides into an anterior and a posterior trunk near the greater sciatic foramen.Branches of ANTERIOR TRUNKUmbilical arteryObturator arteryUterine arteryInferior vesical and vaginal artery (females)Middle rectal arteryInternal pudendal arteryInferior gluteal arteryBranches of POSTERIOR TRUNKIliolumbar arteryLateral sacral arterySuperior gluteal artery